Desmoglein is an Autoantigen in
1. Pemphigus
2. Eczema
3. Sarcoidosis
4. Vitiligo

Correct answer: 1. Pemphigus

Explanation: Ans. is 'a' i.e., Pemphigus Desmosomes o Desmosomes are the major adhesion complex in the epidermis, anchoring keratin intermediate filaments (IFs) to the cell membrane and bridging adjacent keratinocytes, and allowing cells to withstand trauma. o The main components of desmosomes consist of the products of three gene superfamilies : - Desmosomal cadherins They are calcium ion-dependent cell adhesion molecules that show homophilic adhesions (i.e. a cadherin molecule of one cell binds to the same molecule on another cell.) They include Desmogleins 1-4 (Dsgl-Dsg4) Desmocollins 1-3 (Dscl-Dsc3) Armadillo proteins Plakoglobins (Pgs) Plakophilin (Pkps 1-3) 3) Plakins Desmoplakins (DPS). Ptectin Envoplakin Periplakin Antigen defect Disease Dsg 1 Pemphigus violaceus Dsg 3 Pemphigus Vulgaris Dsc 1 Subcorneal pustular dermatosis Dpk 1& 2 Erythema multi forme Envoplakin & Periplakin Perineoplastic pemphigus